Postoperative shivering in the perioperative period is associated with?
1. Increase oxygen consumption
2. Decreased catecholamine release
3. Decreased heart rate and blood pressure
4. All

Correct answer: 1. Increase oxygen consumption

Explanation: Postoperative shivering Primary cause of is perioperative hypothermia Postoperative shivering can greatly increase oxygen consumption, catecholamine release, cardiac output, heart rate and blood pressure, and intracerebral and intraocular pressure. Shivering is uncommon in elderly and hypoxic patients Many drugs, notably meperidine, clonidine, and tramadol, can be used to reduce postoperative shivering However, prevention of hypothermia is the most efficient strategy.